A screaning test has 99% sensitivity and 99% specificity prevalence of target disease is 5 per 1000 population. The PPV of the test -
1. 10
2. 70
3. 33
4. 99

Correct answer: 3. 33

Explanation: Ans. is 'c' i.e., 33 o Positive predictive value is related to sensitivity specificity and prevalenceo This relationship is represented by Baye's theorem : -PPV =Sensitivity * Prevalence--------------------------------------------------(sensitivity x prevalence) + (100-spcificity) (100-prevalence)X 100o One thing should be remembered that prevalence is in percentage (per 100 population) not per 1000. o So, in this question, prevalence = 5 per 1000 = 0.5 per 100 or 0.5%PPV =99 x 0.5--------------------------(99x 0.5) + (100-99) (100-0.5)x 100 - 33.2